In which of the following locations there is collection of pus in the quinsy
1. Peritonsillar space
2. Parapharyngeal space
3. Retropharyngeal space
4. Within the tonsil

Correct answer: 1. Peritonsillar space